All of the following are treatment modalities for gastric lymphoma except:
1. Chemotherapy for primary gastric lymphoma
2. Chemotherapy for secondary gastric lymphoma
3. Antibiotic treatment for H. pylori in low grade MALToma
4. Radical subtotal gastrectomy for locally advanced disease

Correct answer: 4. Radical subtotal gastrectomy for locally advanced disease

Explanation: Ans. (d) Radical subtotal gastrectomy for locally advanced diseaseRef: Sabiston 20th edition, Page 1228Treatment of lymphomas in stomach:* Most Lymphomas are treated with multimodality treatment* CHOP therapy is the chemotherapy commonly used* Chemotherapy alone is enough for early cases* Diffuse advanced cases are not amenable for surgery and palliative chemotherapy alone is given.* Indications for surgery in Lymphoma are:# Limited gastric disease# Recurrence# Complications like bleeding, obstruction and perforation